Which of the following is rate limiting step -
1. 25 hydroxylation of vitamin D
2. 24 hydroxylation of vitamin D
3. 1 hydroxylation of vitamin D
4. None

Correct answer: 3. 1 hydroxylation of vitamin D

Explanation: Ans. is 'c' i.e., 1 hydroxylation of vitamin D o Vitamin D is the major vitamin involved in the absorption of calcium.o Beside dietary intake, cutaneous synthesis is the other and more important source of vitamin D (cholecalciferol) in the body.o The keratinocytes of stratum corneum of the epidermis of skin contain 7-dehydrocholesterol which is converted to Vitamin D3 (cholecalciferol) by the action of sunlight (UV light).o This vitamin D3. (Cholecalciferol) is converted to calcidiol (25 hydroxy cholecalciferol or 25-hydroxy vitamin D3) by 25 hydroxylases in the liver.o Calcidiol is the major circulating form of vitamin D3.o Calcidiol is then converted to calcitriol (1-25 dihydroxy-cholecalciferol or 1-25 dihydroxy vitamin D3) by 1-a hydroxylation in kidney.o The final hydroxylation in kidney is rate limiting stepQ.o Calcitriol is the active form of vitamin DQ.o Vitamin D is the major vitamin involved in the absorption of calcium.o Beside dietary intake, cutaneous synthesis is the other and more important source of vitamin D (cholecalciferol) in the body.o The keratinocytes of stratum corneum of the epidermis of skin contain 7-dehydrocholesterol which is converted to Vitamin D3 (cholecalciferol) by the action of sunlight (UV light),o This vitamin D, (Cholecalciferol) is converted to calcidiol (25 hydroxy cholecalciferol or 25-hydroxy vitamin D3) by 25 hydroxylase in the liver.o Calcidiol is the major circulating form of vitamin D3o Calcidiol is then converted to calcitriol (1-25 dihydroxy-cholecalcifero! or 1-25 dihydroxy vitamin D3) by 1-a hydroxyiation in kidneyQ.o The final hydroxy iation in kidney is rate limiting stepQ,o Calcitriol is the active form of vitamin DQ.